In Balint syndrome all are seen except-
1. Simultagnosia
2. Dysgraphia
3. Ataxia
4. Apraxia

Correct answer: 2. Dysgraphia